Hyperuricemia is a side effect of -
1. INH
2. Rifampicin
3. Streptomycin
4. Pyrazinamide

Correct answer: 4. Pyrazinamide

Explanation: Ans. is 'd' i.e., Pyrazinamide o Remember these important side effects of antitubercular drugs. Peripheral Perip Hyperuricemia Hepatitis Optic Neuritis Neuropathy o Ethambutol o Streptomycin o Isoniazid o Isoniazid o Pyrazinamide o INH o Rifampicin o Ethambutol o Ethambutol o Pyrazinamide o Ethionamide o Ethionamide